The following combination of agents are the most preferred for short day care surgeries
1. Propofol, fentanyl, isoflurane
2. Thiopentone sodium, morphine, halothane
3. Ketamine, pethidine, halothane
4. Propofol, morphine, halothane

Correct answer: 1. Propofol, fentanyl, isoflurane

Explanation: Ans. is 'a' i.e. Propofol, fentanyl, isoflurane For day care surgery patients are sent back home the same day. Therefore you need agents which are rapidly eliminated so that no after effects are left. The agents used are-PropofolAlfentanilRemifentanilN2OIsofluraneSevofluraneDesflurane